All of the following may cause cycloplegia except ?
1. Atropine
2. Cyclopentolate
3. Physostigmine
4. Tropicamide

Correct answer: 3. Physostigmine

Explanation: Ans. is 'c' i.e., Physostigmine o Cycloplegia means paralysis of ciliary muscles of eye. o Cholinergic drugs (physostigmine) cause contraction of ciliary muscle --> cyclospasm (not cycloplegia). o Anticholinergic drugs (Atropine, cyclopentolate, Tropicamide) cause relaxation of ciliary muscles -3 Paralysis of ciliary muscles.